Cart-wheel appearance on USG is seen in:
1. Hydatid cyst
2. Intussusception
3. Hydatidiform mole
4. All

Correct answer: 1. Hydatid cyst

Explanation: Hydatid cyst REF: Sutton's radiology, 7th edition, volume 1 page 771 Signs of Hydatid cyst: Echinococcus Meniscus/crescent/double arch sign: Floating membrane sign: Spoke wheel/Cart wheel appearance Cumbo sign Water Lilly sign: Camalotte sign: A cyst with an undulating membrane Serpent sign: No calcification in lung